For delivery of the after- coming head in breech presentation following forceps/methods are used except :
1. Wrigely's forceps weeks - 5% and at term - 3%.
2. Kielland's foceps
3. Das's variety forceps
4. Mauriceau smellie, veit technique

Correct answer: 1. Wrigely's forceps weeks - 5% and at term - 3%.

Explanation: Wrigely's forceps weeks - 5% and at term - 3%.